Vagabond's disease is caused by?
1. Scabies
2. Herpes genitalis
3. Pediculosis corporis
4. Ant bite reaction

Correct answer: 3. Pediculosis corporis

Explanation: Ans. (c) Pediculosis corporisRef: Rook's 8/e, p 38.22